Not true about voyeurism:
1. Sec. 354-C IPC defines punishment
2. Cognizable offence
3. Non-bailable offence
4. 1-3 years punishment

Correct answer: 3. Non-bailable offence

Explanation: Ans. Non-bailable offence